Which of the following does not have a X-linked pattern of inheritance?
1. Duchenne muscular dystrophy
2. Emery-Dreifuss muscular dystrophy
3. Myotonic dystrophy
4. Becker muscular dystrophy

Correct answer: 3. Myotonic dystrophy

Explanation: Type of muscular dystrophy Inheritance A. Duchenne muscular dystrophy X-linked recessive B. Emery-Dreifuss muscular dystrophy X-Linked (most common), AD & AR C. Myotonic dystrophy Autosomal dominant D. Becker muscular dystrophy X-linked recessive